Most common nutritional deficiency seen after gastrectomy
1. Iron deficiency
2. B12 deficiency
3. Vitamin d deficiency
4. Vitamin k deficiency

Correct answer: 1. Iron deficiency

Explanation: Most common complication is violin deficiency.